Which among the following is also called "peakless" insulin analog?
1. Insulin lispro
2. Insulin glargine
3. Insulin aspart
4. Lente Insulin

Correct answer: 2. Insulin glargine